General sensation to the posterior one-thrid of the tongue is mediated by the-
1. Hypoglossal nerve
2. Vagus nerve
3. Glossopharyngeal nerve
4. Lingual nerve

Correct answer: 3. Glossopharyngeal nerve

Explanation: C i.e. Glossopharyngeal nerve